Single disease control strategy done by program known as
1. Horizontal program
2. Vertical program
3. Interventional program
4. Volunteer program

Correct answer: 2. Vertical program

Explanation: Health systems are made up of: * "Horizontal system" of general services, providing prevention and care for prevailing health problems. "Vertical programmes" for specific health conditions .